Which structure can be felt at the lower part of the medial border of sternocleidomastoid -
1. Subclavian artery
2. Common carotid artery
3. Internal mammary artery
4. Maxillary artery

Correct answer: 2. Common carotid artery

Explanation: Carotid pulse (common carotid artery) can be felt along the anterior margin of sternoleidomastoid at the level of laryngeal prominence of cricoid cartilage.